Which of the following shows granular deposition of IgA in dermal papilla –
1. Dermatitis herpetiformis
2. IgA papillomatosis of childhood
3. Bullous pemphigoid
4. Gestational herpes

Correct answer: 1. Dermatitis herpetiformis

Explanation: Immunopathological appearance of vesicobullous disorders




Bullous pemphigoid
 


Linear band of IgG or C3 in epidermal basement membrane
 




Pemphigus vulgaris
 


Cell surface deposits of IgG on keratinocytes
 




Pemphigus foliaceous
 


Cell surface deposits of IgG on keratinocytes
 




Pemphigoid gestationis
 


Linear band of C3 in epidermal basement membrane zone
 




Dermatitis herpeteformis
 


Granular deposits of IgA in dennal papillae
 




Chronic bullous disease of childhood
 


IgA deposits along the dermoepidermal junction
 




Linear IgA dermatosis of adults


Linear deposits of IgA at dermoepidermal junction